Nutrient artery to Femur is a branch of
1. Inferior gluteal Artery
2. 1st perforating Branch of profunda femoris artery
3. 2nd perforating Branch of profunda femoris artery
4. Lateral circumflex femoral artery

Correct answer: 3. 2nd perforating Branch of profunda femoris artery

Explanation: Femur gets its nutrient artery from 2nd perforating Branch arising from profunda femoris artery.